Intercalated disks are found in:
1. Smooth muscle
2. Cardiac muscles
3. Both
4. None

Correct answer: 2. Cardiac muscles

Explanation: Ans. B. Cardiac musclesINTERCALATED DISKS provide a strong union between cardiac muscle fibers and maintain cell to cell cohesion so that pull of one contractile unit is transmitted along its axis to the next.